In thymoma , all are seen except
1. Hypogamma globulinemia
2. Hyperalbuminemia
3. Red cell aplasia
4. Myaesthenia gravis

Correct answer: 2. Hyperalbuminemia

Explanation: Thymoma is the most common Anterior mediastinal mass. Thymomas are seen to be associated with Myasthenia gravis Acquired hypogammaglobulinemia Pure red cell aplasia Grave's ds Pernicious anemia Dennatomyositis-polymyositis Cushing syndrome Ref : Robbins (big) 8/e p636